In oogenesis, first meiotic division completes ?
1. After ovulation
2. Before ovulation
3. During ovulation
4. At fertilization

Correct answer: 2. Before ovulation

Explanation: Ans. is 'b' i.e., Before ovulation